All are B-cell marker except:
1. CD15
2. CD19
3. CD21
4. CD24

Correct answer: 1. CD15

Explanation: Direct lines from Wintrobes hematology..CD-15 is expressed on neutrophils, esinophils and monocytes but not on on platelets,lymphocytes and erythrocytes.About option (d)CD24 is expressed on B cell activation and differentiation and is lost at the plasma cell stage. It is also present ion granulocytes and thymocytes but not on mature T cells.data shows its increased levels are associated with colon/breast and pancreatic cancer.( ref Robbins 7th/670,9/e590)